Physiologic shunt refers to:
1. shunt between bronchial and pulmonary circulation
2. airflow from small to large alveoli
3. Wasted ventilation
4. Perfusion more than ventilation

Correct answer: 4. Perfusion more than ventilation

Explanation: If some part of the lung does not have ventilation but has blood perfusion, blood leaving this part will remain mixed venous blood. That is, this blood will not be oxygenated. And, it will mix with arterial blood in left ventricle. This is called physiologic shunt or venous admixture. Atelectasis is the most common cause of a physiologic shunt; ventilation: perfusion ratio (VA/Q) is zero.